Flea bitten appearance of stomach mucosa is seen in:
1. Arsenic poisoning
2. Sulphuric acid poisoing
3. Phosphorus poisoning
4. Viper snake bite

Correct answer: 1. Arsenic poisoning

Explanation: PM findings of acute arsenic poisoning : 1. Gastrointestinal congestion is a feature in acute arsenic poisoning and varies from reddening of mucosa (red velvet) to frank haemorrhagic gastritis. 2. Focal haemorrhages giving rise to flea bitten appearance is said to be characteristic. 3. Intestines may be inflamed and may contain "rice water" contents. 4. Subendocardial haemorrhages are often seen in heart.